All of the following drugs are used for treating Mycobacterial Infections except:
1. Rifaximin
2. Rifampicin
3. Rifabutin
4. Rifapentine

Correct answer: 1. Rifaximin

Explanation: Rifamycins: include Rifampin or Rifampicin, Rifapentine and Rifabutin. MOA: binds to the b subunit of DNA-dependent RNA polymerase (rpoB) resulting in suppressesion of the chain formation in RNA synthesis. Inhibitsthe growth of most gram-positive bacteria as well as many gram-negative microorganisms, such as Escherichia coli, Pseudomonas,indole-positive and indole-negative Proteus, Klebsiella, Staphylococcus aureus and coagulase-negative staphylococci, Neisseria meningitidis and Haemophilus influenzae, M. tuberculosis, Mycobacterium leprae and other mycobaterial organisms also . Rifampicin should be taken on an empty stomach, whereas Rifapentine should be taken with food ifpossible. Rifaximin: Is a semi-synthetic Rifamycin. Route: Oral It is a non-systemic antibiotic as it doesn't cross the GIT wall (i.e poorly absorbed) USE: Travellers diarrhea, IBS-D: because it stops the growth of the bacteria causing diarrhea . Also used for treatment of Hepatic Encephalopathy: because it stops the growth of the bacteria producing toxins that worsen the liver condition.